Which antibiotic acts by inhibiting protein synthesis -
1. Cefotetan
2. Doxycycline
3. Ciprofloxacin
4. Oxacillin

Correct answer: 2. Doxycycline

Explanation: Ans. is 'b' i.e., Doxycycline